The epithelioid cell and multinucleated giant cells of Granulomatous inflammation are derived from which of the following cells?
1. Basophils
2. Eosinophils
3. CD4-T lymphocytes
4. Monocytes - Macrophages

Correct answer: 4. Monocytes - Macrophages

Explanation: Granulomatous inflammation is a characteristic feature of Type IV hypersensitivity reaction against tubercle bacilli. When certain non degradable antigen such as tubercle antigen is present, the initial perivascular mononuclear cell monocyte infiltrate is replaced by macrophages over a period of 2-3 weeks. The accumulated macrophage then undergo morphological transformation into epithelial like cells and are then referred to as epithelioid cells. A microscopic aggregation of epithelioid cells, usually surrounded by a collar of lymphocytes, is referred to as granuloma. And this pattern of inflammation is called granulomatous inflammation.Ref: Robbins Pathologic Basis of Disease, 6th Edition, Pages 204-6